Duroziez's sign is seen in -
1. Aortic Regurgitation
2. Tricuspid Regurgitation
3. Mitral stenosis
4. Pericardial effusion

Correct answer: 1. Aortic Regurgitation

Explanation: Ans. is 'a' i.e., Aortic Regurgitation Duroziez's sign in Aortic Regugitationo Refers to systolic and diastolic murmurs heard over the femoral artery while partially compressing the vessel with the diaphragm of the stethoscope.o A systolic murmur will be heard when the vessel is compressed with the diaphragm of the stethoscope. As the compression is increased is diastolic murmur will be heard in patients with significant aortic regurgitation (due to retrograde flow of blood back towards the heart in diastole).o Tilting the diaphragm towards the patients heads will make the diastolic bruit softer if the patient has aortic regurgitation but louder if the bruit is due to an increased cardiac output (e.g. due to thyrotoxicosis).Eponymous Signs of aortic Regurgitation : Textbook content and Reports in the LiteratureSignDescreptionAustin Flint murmurLow-pitched, rough, rumbling murmur that begins in mid-diastole and terminates at the end of diastole.Hill signIncrease in manually measured blood pressure of the lower extremity> comparied with the upper extremity>.Corrigan pulseRapidly s welling and falling arterial pulse by palpation.Duroziez signIntermittent to-and-fro femoral artery> murmur (occuring in systole and diastole, respectively) generated by femoral artery compression.QuinkesignExaggerated capillary pulsations of the nail bedsTraube signDouble tone on auscultation with light compression of the femoral arteryde Musset signAnteroposterior dobbing of the headMayne signMore than a 15-mm Hg decrease in diastolic blood pressure with arm elevation from the value obtained with the arm in the standard positionRosenbach signPulsatile liverMueller signPulsatile uvulaBecker signAccentuated retinal artery pulsationsGerhard signPulsatile spleen